In mature erythrocytes the major available anion is
1. Haemoglobin
2. Chloride
3. Bicarbonate
4. Diphosphoglycerate

Correct answer: 2. Chloride

Explanation: In mature erythrocytes the major available anion is ClRef: Ganong's review of medical physiology 23rd edition Page no: 523